According to Boyd's classification, when the pain continues but the patient can still walk with effort is:
1. Grade 1
2. Grade 2
3. Grade 3
4. Grade 4

Correct answer: 2. Grade 2

Explanation: Boyd’s classification:

Grade I: pain disappears, if the patient continues to walk
Grade II: pain continues, but the patient can still walk with effort
Grade III: pain compels the patient to take rest.